Conjugation does not involve -
1. Bacteriophages
2. HFr
3. Fr
4. Plasmids

Correct answer: 1. Bacteriophages

Explanation: Conjugation: it is the process whereby a male or donor bacterium mates or makes physical contact with a female or recipient bacterium and transfer genetic material into it. This has been considered to be the bacterial equivalent of sexual mating in higher organisms but the analogy is irrelevant as following conjugation the female bacterium is, in turn, converted into a male cell. Bacterial conjugation was first described by Lederberg and Tatum (1946) in a strain of E.coli called K12 and has been most extensively studied in strain. It takes place between a male cell and a female cell. the maleness or donor status of a cell is determined by the presence in it of a plasmid that coded for specialized fimbriae which project from the surface of the cell. the plasmid DNA replicates and a copy of it passes from the donor to the recipient attains donor status and can in turn conjugated with other female cells.the maleness in bacteria is thus a transmissible or infectious characteristic. Along with plasmid DNA, a portion of the host DNA also are sometimes transferred to the recipient the donor DNA then combines with DNA of the rrecipientaffecting genetic recombination. it was E.coli K12 that the role of the plasmid in conjugation was first recognized the plasmid responsible was termed the sex facto or fertility (F)factor. When other similar similar plasmids were also discovered the term transfer factor came to be used for all such plasmids when conferred on their host cells the ability to act as da one in conjugation. REF:Ananthanarayan and Panicker's Textbook ofMicrobiology 8thEdition pg no:65